Used urine bags are disposed in which color bag ?
1. Red
2. Yellow
3. White
4. Black

Correct answer: 1. Red

Explanation: Ans. is 'a' i.e., Red Contaminated recylable wastes are disposed in which red color bag. These are tubing, bottles, IV tubes, IV sets, catheters, urine bags, syringes (without needles) and vaccutainers (with their needles cut) and gloves.